One of the following is having least density:
1. Chylomicron
2. HDL
3. LDL
4. VLDL

Correct answer: 1. Chylomicron

Explanation: A i.e. Chylomicron